Most common lesion in fetal toxoplasmosis is:
1. GI involvement
2. Chorioretinitis
3. Pulmonary involvement
4. Encephalitis

Correct answer: 2. Chorioretinitis

Explanation: Ans. is 'b' Chorioretinitis./Reference Harrison 16/e, p 1246 (15/e p 1224)]Symptoms of congenital toxoplasmosis.Chorioretinitis (M. C.)IcterusHepato splenomegaly*Microcephaly*Hydrocephalus*Convulsions*Psychomotor retardation *Intracranial calcification *Microphthalmia*